A lady had Meningioma with inflammatory edematous lesion. She was planned for surgery. Junior resident's mistake in writing pre-op notes is:
1. Stop Steroids
2. Wash head with shampoo
3. Antibiotic Sensitivity
4. Continue antiepileptics

Correct answer: 1. Stop Steroids

Explanation: Ans is 'a' i.e. Stop steroids There is no rationale to stop the steroids preoperatively. Sudden withdrawal of steroids may lead to adrenal insufficiency, particularly during period of stress such as surgery. The management of patients taking glucocorticoids preoperatively: In general, the duration of use and dosing of glucocorticoids determines appropriate management: Patients who have taken glucocorticoids for less than three weeks, or who have taken chronic alternate day therapy, are unlikely to have a suppressed hypothalamic-pituitary-adrenal (HPA) axis and should continue usual doses of glucocorticoids perioperatively. Patients taking prednisone at a dose greater than 20 mg/day for three weeks or more, and patients with a Cushingoid appearance should be assumed to have HPA axis suppression and may need an increased dose of corticosteroids perioperatively. (However several studies have a different view that the patients on chronic steroid could continue on their usual daily dose of glucocoticoids perioperatively)